Factor responsible for resorbability of primary dentition is/are:
1. Resorption is genetically determined.
2. Primary teeth have successors which apply pressure.
3. Both of the above.
4. None

Correct answer: 3. Both of the above.